Nagler's reaction is type of-
1. Neutrilization reaction
2. CFT
3. Precipitation
4. Agglutination

Correct answer: 1. Neutrilization reaction